Pharmacogenetics is associated with
1. individual variations in drug response due to gene variability
2. Environmental influence
3. Individual variability in oral absorption
4. Different mechanism of actions in different individuals

Correct answer: 1. individual variations in drug response due to gene variability

Explanation: The determinants of drug response, viz. transporters, metabolizing enzymes, ion channels, receptors with their couplers and effectors are controlled genetically The study of the genetic basis for variability in drug response is called 'Pharmacogenetics'. Ref ;KD Tripathi Pharmacology 7th edition (page no;65)